PQLI includes all of the following except:
1. Per capita income
2. Literacy rate
3. Life expectancy at 1 year
4. Infant Mortality

Correct answer: 1. Per capita income

Explanation: Ans. A: Per capita The Physical Quality of Life Index (PQLI) is an attempt to measure the quality of life or well-being of a country. The value is the average of three statistics, all equally weighted on a 0 to 100 scale: Basic literacy rate, Infant mortality, and Life expectancy at age one, It was developed for the Overseas Development Council in the mid-1970s by Morris David Morris, as one of a number of measures created due to dissatisfaction with the use of GNP as an indicator of development. This shows that money is not everything. PQLI might be regarded as an improvement but shares the general problems of measuring quality of life in a quantitative way. It has also been criticized because there is considerable overlap between infant mortality and life expectancy. Steps to Calculate Physical Quality of Life: Find percentage of the population that is literate (literacy rate). Find the infant mortality rate. (Out of 1000 births) (Infant Mortality Rate = (166 - infant mortality) x 0.625) Find the Life Expectancy (Life Expectancy = (Life expectancy - 42) x 2.7) Physical Quality of Life = (Literacy Rate + Infant Mortality Rate + Life Expectancy)/ 3